Osgood-Shaltterrs disease is seen in:
1. Proximal tibia
2. Proximal femur
3. Distal tibia
4. Distal femur

Correct answer: 1. Proximal tibia

Explanation: Ans: A(Proximal tibia) Osgood-Shaltter Disease {also known as Tbial tubercle traumatic apophysitis or Louise's knees disease)# It is an inflammation of the growth plate at the tibia! tuberosity. It is a type of osteochondritis.NoteIt is an inflammation of the growth plate at the tibial tuberosity. It is a type of osteochondritis.The disease is most common in active boys aged 10-15. It most commonly occurs in just one leg but can occur in both at the same time.The natural history is benign, with almost all cases asymptomatic by skeletal maturitySurgical excision of residual ossicle has been described with good outcomeOsteochondritis / OsteochondrosisIt is ischemic necrosis of orteoarticular fragment of bone leading to compression, fragmentation or separation of a small segment of a articular cartilage of bone. This occurs mainly in adolescent and young adults, often during phase of increased physical activity, and may be initiated by trauma or repetitive stress. It can be of three types:1. Crushing OsteochondritisDiseaseSiteKohler'sKienbock'sPerthe'sNavicularLunateFemoral headScheurmann's Calve'sRing epiphysis of vertebrae Central bony nucleus of vertebral bodyFrieberg'sIslene2nd Metatarsal head 5th Metatarsal base2. Splitting OsteochnodritisKnee (lower lateral part of medial femoral condyle) is a most commonly involved jointQ3. Pulling Osteochondritis (Traction Apophysitis)DiseaseSiteOsgood Shaltter'sTibial tuberosityQSevere'sCalcanea] apophysisJohansson Larsen's diseaseLower pole patella